Obesity is seen in all except?
1. Cushing syndrome
2. Pickwickian syndrome
3. Prader Willi syndrome
4. Sipple syndrome

Correct answer: 4. Sipple syndrome

Explanation: Sipple syndrome/ MEN 2A charecterized by : Pheochromocytoma Medullary Carcinoma Of Thyroid Hyperparathyroidism It has a pheochromocytoma which is associated with weight loss due to sympathomimetic activity secondary to increased catecholamines.